Phobia is type of -
1. Psychosis
2. Neurosis
3. Mania
4. Depression

Correct answer: 2. Neurosis